Couinaud's segments are used to divide which organ?
1. Liver
2. Lung
3. Spleen
4. Kidney

Correct answer: 1. Liver

Explanation: Ans. a (Liver). (Ref. Diagnostic ultrasound by Carol Rumac, 2nd ed., 89)SEGMENTAL LIVER ANATOMYFunctional segmental liver anatomy by Couinaud & Bismuth is based on distribution of 3 major hepatic veins & divides liver into 8 segements:# Middle hepatic vein:- -Divides liver into right and left lobe- -Also separated by main portal vein scissura, the cantile line passing through IVC & long axis of gall bladder# Left hepatic vein- -Divides left lobe into medial lateral sectors# Right hepatic vein- -Divides right lobe into anterior & posterior sectorsLiver segmentCorresponding lobeSegment ICaudate lobeSegment IILeft lateral superiorSegment IIILeft lateral inferiorSegment IVQuadrate lobe (AIIMS 2007 Nov)- Left medial superior- Left medial inferiorSegment VRight anterioinferiorSegment VIRight posteroinferiorSegment VIIRight posteriosuperiorSegment VIIIRight anteriosuperior